Alpha 1a adrenergic blocker giving symptomatic relief in BPH is:
1. Tamsulosin
2. Prazosin
3. Doxazosin
4. Tolazoline

Correct answer: 1. Tamsulosin